In firearm injury, entry-wound blackening is due to -
1. Flame
2. Hot gases
3. Smoke
4. Unburned powder

Correct answer: 3. Smoke